A 27 year old sexually active male develops a vesiculobullous lesion on the glans soon after taking tablet paracetamol for fever. The lesion healed with hyperpigmentation. The most likely diagnosis is –
1. Behcet's syndrome
2. Herpes genitalis
3. Fixed drug eruption
4. Pemphigus vulgaris

Correct answer: 3. Fixed drug eruption

Explanation: Presentation with a solitary lesion in the genital skin that heals with hyperpigmentation. Soon after ingestion of paracetamol, one of the most commonly implicated agents for FDE, suggests a diagnosis of Fixed Drug Eruption (FDE)